Which of the following is not a content of adductor canal?
1. Femoral artery
2. Femoral vein
3. Saphenous nerve
4. Nerve to vastus lateralis

Correct answer: 4. Nerve to vastus lateralis

Explanation: Ans: D (Nerve to vatus lateralis) Ref: Grays Anatomy 40th EdExplanation:Adductor canal/subsartorial canal/hunter's canalLocated at the middle of the thighExtends from apex of the femoral triangle to the opening of the adductor magnusBoundaries:Roof - SartoriusFloor - Adductor longusLaterally - Vastus medialisContents:1. Femoral arteryFemoral veinSaphenous nerveNerve to vastus medialisOccasionally posterior division of obturator nerve